False statement about common bile duct:
1. Lies in free margin of lesser omentum
2. Anterior to first part of duodenum
3. Right to hepatic artery
4. Anterior to portal vein

Correct answer: 2. Anterior to first part of duodenum

Explanation: Ans: B (Anterior...) "The common bile duct enters the second portion of the duodenunf through a muscular structure, the sphincter of Oddi"- Snell's Clinical Anatomy 8th/250"Supraduodenal portion of CBD lies in free margin of lesser omentum- BDC4th / Vol 11/275COMMON BILE DUCT Sabiston 18th/1547-48The common bile duct is about 7 to 11 cm in length and 5 to 10 mm in diameter.The upper third (supraduodenal portion) passes downward in the free edge of the hepatoduodenal ligament, to the right of the hepatic artery and anterior to the portal vein.The middle third (retroduodenal portion) of the common bile duct curves behind the first portion of the duodenum and diverges laterally from the portal vein and the hepatic arteries.The lower third {pancreatic portion) curves behind the head of the pancreas in a groove, or traverses through it and enters the second part of the duodenum. There the pancreatic duct frequently joins it.# The common bile duct runs obliquely downward within the wall of the duodenum for 1 to 2cm before opening on a papilla of mucous membrane (ampulla of Vater), about 10 cm distal to the pylorus. The union of the common bile duct and the main pancreatic duct follows one of three configurations.(Anatomical variation)The path of CBD is as follows: Bile canaliculi - Canals of Hering - interlobular bile ducts - intrahepatic bile ducts - left and right hepatic ducts merge to form - common hepatic duct exits liver and joins - cystic duct (from gall bladder) forming - common bile duct - joins with pancreatic duct forming ampulla of Vater - enters 2nd part of duodenum-'"The common hepatic duct is 1 to 4 cm in length and has a diameter of approximately 4 mm. It lies in front of the portal vein and to the right of the hepatic artery" -Schwartz 8th/1476Fig. Anatomy of the biliary system and its relationship to surrounding structures